All the following are predictors of preeclampsia except
1. Roll over test
2. Serum uric acid
3. Weight gain > 2kg per month
4. Shake test

Correct answer: 4. Shake test

Explanation: Pre-eclampsia : Rapid gain in weight Serum uric acid levels of more than 4.5 mg/dL (biochemical marker of pre-eclampsia ) Presence of diastolic notch at 24 weeks gestation in uterine artery Detection of free fetal DNA in maternal plasma Roll over test Ref: Dutta Obs 9e pg 214.